All are true about Jafferson's fracture except
1. Fracture of C1  vertebrae
2. Vertical compression fracture
3. Less common type of fracture of C1  vertebrae
4. Has 50% association of concomitant injury in cervical spine elsewhere

Correct answer: 3. Less common type of fracture of C1  vertebrae

Explanation: Jafferson's fracture is most common fracture of Atlas (C1) vertebrae.